All are added to PCR, except:
1. Deoxynucleotide
2. Dideoxynucleotide
3. Thermostat DNAP
4. Template DNA

Correct answer: 2. Dideoxynucleotide

Explanation: Ans. B. Dideoxynucleotide(Ref: Tietz Textbook of Clinical Chemistry 4fe page1446)Pre requisites of PCRSample DNA to be amplifiedDeoxynucleotides.Thermostable Polymerase--Taq Polymerase obtained from Thermus Aquaticus found in hot springs.Primer.Mgcl2 , KCl